The narrowest part of the ureter is at the -
1. Uretero - pelvic junction
2. Hiac vessel crossing
3. Pelvic ureter
4. Uretero - vesical junction

Correct answer: 4. Uretero - vesical junction

Explanation: Ans. is 'd' i.e. Uretero-vesical junction Normal Uterer has 3 distinct site of narrowing.at ureteropelvic junctionwhere the ureter crosses the iliac vesselsat ureterovesical junction (narrowest part)